Fasciotomy- all of the following are cut except -
1. Skin
2. Superficial fascia
3. Deep fascia
4. Muscles

Correct answer: 4. Muscles

Explanation: Ans. is 'd' i.e., Muscles * Fasciotomy or fasciectomy is a surgical procedure where the fascia is cut to relieve tension or pressure commonly to treat the resulting loss of circulation to an area of tissue or muscle.* Fasciotomy is a limb-saving procedure when used to treat acute compartment syndrome.* The skin, subcutaneous tissue and deep fascia are cut